Which of the following toxic states is not associated with anemia?
1. Clostridial sepsis
2. Snake venom
3. Lead poisoning
4. Listerosis

Correct answer: 4. Listerosis

Explanation: Ans. is 'd' i.e., Listerosis * The toxic or chemical injury states associated with anemia include: Clostridial sepsis, Snake venom, Lead poisoningClassification of Anemia According to Underlying MechanismMechanismSpecific ExamplesBlood Loss Acute blood lossChronic blood lossTraumaGastrointestinal tract lesions, gynecologic distrubances*Increased Red Cell Destruction (Hemolysis)Inherited genetic defects Red cell membrane disordersHereditary spherocytosis, hereditary elliptocytosisEnzyme deficiencies Hexose monophosphate shunt enzyme deficienciesG6PD deficiency, glutathione synthetase deficiencyGlycolytic enzyme deficienciesPyruvate kinase deficiency, hexokinase deficiencyHemoglobin abnormalities Deficient globin synthesisThalassemia syndromesStructurally abnormal globins (hemoglobinopathies)Sickle cell disease, unstable hemoglobinsAcquired genetic defects Deficiency of phosphatidylinositol-linked glycoproteinsParoxysmal nocturnal hemoglobinuriaAntibody-mediated destructionHemolytic disease of the newborn (Rh disease), transfusion reactions, drug-induced, autoimmune disorders Mechanical trauma Microangiopathic hemolytic anemiasHemolytic uremic syndrome, disseminated intravascular coagulation, thrombotic thrombocytopenia purpuraCardiac traumatic hemolysisDefective cardiac valvesRepetitive physical traumaBongo drumming, marathon running, karate choppingInfections of red cellsMalaria, babesiosisToxic or chemical injuryClostridial sepsis, snake venom, lead poisoningMembrane lipid abnormalitiesAbetalipoproteinemia, severe hepatocellular liver diseaseSequestrationHypersplenismDecreased Red Cell ProductionInhertod genetic defects Defects leading to stem cell depletionFanconi anemia, telomerase defectsDefects affecting erythroblast maturationThalassemia syndromesNutritional deficiencies Deficiencies affecting DNA synthesisBp and folate deficienciesDeficiencies affecting hemoglobin synthesisIron deficiency anemiaErythropoietin deficiencyRenal failure, anemia of chronic diseaseImmune-mediated injury of progenitorsAplastic, anemia, pure red cell aplasiaInflammation-mediated iron sequestrationAnemia of chronic diseasePrimary hematopoietic neoplasmsAcute leukemia, myelodysplasia, myeloproliferative disordersSpace-occupying marrow lesionsMetastatic neoplasms, granulomatous diseaseInfections of red cell progenitorsParvovirus B19 infectionUnknown mechanismsEndocrine disorders, hepatocellular liver disase